One primary oocyte forms how many ovum/ova ?
1. 1
2. 2
3. 3
4. 4

Correct answer: 1. 1

Explanation: Ans. is 'a' i.e., 1